Wisdom tooth erupts at which age -
1. 6-8 years
2. 10-12 years
3. 12-15 years
4. 17-20 years

Correct answer: 4. 17-20 years

Explanation: Ans. is 'd' i.e., 17-20 years o Wisdom teeth are permanent third molarsEruption of temporary teeth(Primary dentition)ToothAge in range (months)Average age (months)Lower CI6-87Upper CI7-98Uppler LI7-98Lower LI10-12111 molar12-1413Canine17-1817[?]5II molar20-3025 Eruption of permanent teeth(Secondary dentition) Age in range (year)Average age (year)First m olar6-76[?]5Central incisor7-87Lateral incisor8-98First PM9-1110Second PM10-1211Canine11-1211[?]5Second molar12-1413Third molar17-2517